Investigation of choice for intramedullary SOL is -
1. MRI
2. USG
3. CT
4. X-ray

Correct answer: 1. MRI

Explanation: Ans. is 'a' i.e., MRI o Investigation of choice for intramedullary space occupy lesion is MRI.